Which of the following statements regarding acarbose is FALSE
1. It acts by inhibiting the enzyme alpha -glucosidase
2. It reduces post prandial hyperglycemia
3. It decreases the progression of impaired tolerance to overt diabetes mellitus
4. It can cause hypoglycemia

Correct answer: 4. It can cause hypoglycemia

Explanation: Refer Katzung 12/e p 759 Alpha glucosidase inhibitors reduces post prandial hyperglycemia by delaying glucose absorption This class of agents is unique because it reduces the post prandial glucose rise even in individuals with type 1 DM These drugs do not cause hypoglycemia